Middle ear infections are known to spread to the brain from all of the following routes, except -
1. Direct Bony Invasion
2. Oval / Round window
3. Hematogenous spread
4. Lymphatic spread

Correct answer: 4. Lymphatic spread